Which of the following statements is true about the bundle of Kent?
1. Abnormal pathway between two atria
2. It is a muscular or nodal pathway between the atria and ventricle in WPW syndrome
3. It is slower than the AV nodal pathway
4. None

Correct answer: 2. It is a muscular or nodal pathway between the atria and ventricle in WPW syndrome

Explanation: Option A: connect Atria & ventricle Option C: Pre-excitation syndrome/ very fast nodal pathway [Treatment of AV reentrant tachycardia: PROCAINAMDE Prevention purposes: FLECAINIDE TOC for WPW: Radio- frequency Ablation